Alkaline diuresis for which poisoning?
1. Phencyclidine
2. Phenol barbitone
3. Amphetamine
4. Morphine

Correct answer: 2. Phenol barbitone

Explanation: Forced acid or alkaline diuresisForced acid diuresisForced alkaline diuresisOverdosage of phencyclidineAmphetamineBarbiturate overdosageSalicylate overdosageSedation for phencyclidine or amphetamine overdosage and haemo-dialysis for salicylate overdosage and gastric charcoal administration for barbiturate overdosage are preferred to alkaline or acid diuresis.(Refer: V V Pillay's Textbook of Forensic Medicine & Toxicology, 16th edition, pg no: 512,513)